True about Moderate aerobic exercise is
1. Decrease in blood pH
2. Increase PaO2
3. Decrease PaCO2
4. Increased core termerature

Correct answer: 4. Increased core termerature

Explanation: Partial exercise is associated with increased core temperature and there is no significant change in blood ph. Ref:Guyton and Hall textbook of medical physiology 12th edition,page number:503,504,505